A 50-year-old woman, nulliparous, diabetic and obese presenting with post-menopausal bleeding likely diagnosis is:
1. Carcinoma in situ of cervix
2. Carcinoma endometrium
3. DUB
4. None of the above

Correct answer: 2. Carcinoma endometrium

Explanation: A 50-year-old woman nulliparous, diabetic and obese (all predisposing factors for carcinoma endometrium) female is presenting with postmenopausal bleeding (a most common complaint in Ca endometrium).
The most likely diagnosis is carcinoma endometrium.